All are first rank symptoms of schizophrenia, except:
1. Audible thoughts
2. Thought broadcasting
3. Voice arguing or discussing or both
4. Perplexity

Correct answer: 4. Perplexity

Explanation: Ans. Perplexity